Culture media for pertussis is
1. L J media
2. Chocolate agar
3. Wilson & Blair medium
4. Bordet Gengou medium

Correct answer: 4. Bordet Gengou medium

Explanation: Culture media for Bordetella pertussis is Bordet Gengou media or Regan Lowe media. Bordet Gengou media- after incubation for 48-72 hours- colonies resemble 'bisected pearls' or 'mercury drops' LJ media For M. tuberculosis Wilson & Blair medium For Salmonella typhi